Cause of U/L secretory otitis media in an adult is:
1. CSOM
2. Nasopharyngeal carcinoma
3. Mastoiditis
4. Foreign body of external ear

Correct answer: 2. Nasopharyngeal carcinoma